Parvovirus infection is associated with -
1. Hydrops fetalis
2. Aplastic crisis
3. sixth disease
4. AB

Correct answer: 4. AB

Explanation: parvo virus cause fetal hydrops&aplastislc crisis.it causes fifth disease REF:ANATHANARAYANAN MICROBIOLOGY NINTH EDITION PAGE.554